Which one of the following diseases is a communicable?
1. rickets
2. amoebiasis
3. diabetes
4. cancer

Correct answer: 2. amoebiasis

Explanation: Amoebiasis, also known amoebic dysentery, is an infection caused by any of the amoebae of the Entamoeba group.
Symptoms are most common during infection by Entamoeba histolytica. 
Amoebiasis can be present with no, mild, or severe symptoms. Symptoms may include abdominal pain, diarrhea, or bloody diarrhea.